Which immunoglobulin crosses placenta maximally:
1. IgG1
2. IgG2
3. IgG3
4. IgG4

Correct answer: 1. IgG1

Explanation: IgG1 - max , IgG4 - minimum